True about infiltrating lobular breast carcinoma:-
1. Indian file pattern
2. Adjacent areas are not calcified .
3. Mostly unilateral
4. Devolps both in male and female breast .

Correct answer: 1. Indian file pattern

Explanation: LCIS originates from the terminal duct lobular units and develops only in the female breastQ. LCIS is mostly multicentric & bilateralQ Increased risk of invasive carcinoma is in the both breastsQ. Calcifications associated with LCIS typically occur in adjacent tissues (neighborhood calcification)Q Histologic hallmark of invasive lobular carcinoma is tendency of tumor cells to invade in linear strands (Indian file pattern).